Westermark's sign, Hampton's hump, Palla's sign are all features of which condition on chest X-ray
1. Tubercular pleural effusion
2. Pulmonary Embolism
3. Acute Pulmonary adema
4. Left ventricular failure

Correct answer: 2. Pulmonary Embolism

Explanation: A normal or nearly normal chest x-ray often occurs in PE. Well-established abnormalities include focal oligemia (Westermark's sign), a peripheral wedged-shaped density above the diaphragm (Hampton's hump), and an enlarged right descending pulmonary artery (Palla's sign).Harrison 19e pg: 1633